Intravenous immunoglobulin therapy is effective in some patients with which of the conditions?
1. Pure red cell aplasia
2. Myelodysplasia
3. PNH
4. G6PD deficiency

Correct answer: 1. Pure red cell aplasia

Explanation: Red cell aplasia is treated with combination of erythrocyte transfusions and iron chelation. For persistent B19 parvovirus infection, almost all patients respond to intravenous immunoglobulin therapy. Ref: Harrisons Principles of Internal Medicine, 18th Edition, Page 895